False about isotope scanning
1. Radiolabelled iodine (123I) is used
2. Majority (80%) of 'cold' swellings are benign
3. 5% functioning or 'warm' swellings will be malignant
4. Useful in hypothyroid patients

Correct answer: 4. Useful in hypothyroid patients

Explanation: Radiolabelled iodine (123I) is used majority (80%) of 'cold' swellings are benign and some (5%) functioning or 'warm' swellings will be malignant. Principal value is in the toxic patient with a nodule or nodularity of the thyroid.Ref: Bailey and love 27e, page no: 804